A young man with tuberculosis presents with massive recurrent hemoptysis. For angiographic treatment which vascular structure should be evaluated first?
1. Pulmonary artery
2. Bronchial artery
3. Pulomary vein
4. Superior vena cava

Correct answer: 2. Bronchial artery

Explanation: Answer is B (Bronchial Artery): Diagnosis and treatment of symptoms of Respiratory; Vascular and Interventional Radiology by bakal (2002)/158 Hemoptysis usually arises from the bronchial arteries. Pulmonary arteries are a rare source of hemorrhage. The vascular structure that should be evaluated .first for angiographic treatment are therefore bronchial arteries. `Majority of cases of hemoptysis represent bleeding from the bronchial arteries, therefore bronchial angiography is usually the initial angiographic procedure'-Diagnosis and Treatment of symptoms of the Respiratory Tract (2007)/177 90% cases)" align="left" height="39" width="235">A pulmonary arterial source should be considered in addition to the more common systemic source (bronchial artery) in the setting of destructive lung lesion such as cavitatory tuberculosis. However the vascular structure that should be evaluated first is the bronchial artery. Remember : Ramussen Aneurysm Ramussen aneurysm is a rare cause of bleeding in cavitatory tuberculosis and results from erosion of tuberculous cavity into a pulmonary artery branch. The most common source of bleeding in Retnussen aneurysm is the pulmonary aerydeg.